Disposable syringes are sterilized by
1. 2% glutaraldelyde
2. Autoclave
3. Hot air oven
4. Ionizing radiation

Correct answer: 4. Ionizing radiation

Explanation: Disposable plastics eg : Rubber or plastic syringes infusion sets, catheters are sterilized by Ionizing radiation.